Joule burn is seen with :
1. Electrocution
2. Scalds
3. Lighting
4. Vitriolage

Correct answer: 1. Electrocution

Explanation: A i.e. Electrocution